Conventional contraceptives are
1. IUCD
2. Coitus iterruptus
3. Condom
4. OCP

Correct answer: 3. Condom

Explanation: Conventional contraceptives are those methods that require action at the time of sexual intercourse Examples are condom, spermicide etc. Reference : Park's textbook of preventive and social medicine, 23rd edition, Page no: 494